Neuroleptic malignant syndrome is caused by:
1. Carbamazepine
2. Clonazepam
3. Haloperidol
4. Fluoxetine

Correct answer: 3. Haloperidol